The following is false of placenta previa :
1. Associated with toxemia
2. Painless recurrent bleeding
3. Maternal blood loss
4. Severe bleeding may occur

Correct answer: 1. Associated with toxemia

Explanation: Associated with toxemia